Most common cause of diarrhea in infants and children is:
1. Staphylococcus
2. Streptococcus
3. E. coli
4. Rotavirus

Correct answer: 4. Rotavirus

Explanation: Ans. D i.e. Rotavirus